Which of the following characteristics of this patient might increase the risk of wound infection
1. History of colon surgery
2. Hypertension
3. Male sex
4. Recipient of chemotherapy

Correct answer: 4. Recipient of chemotherapy

Explanation: Chemotherapy leads to a state of immunodefieciency among recipients, hence delays the rate of wound healing and increases the chance of wound infection. Reference: Bailey & Love's Short Practice of Surgery 27th Edition, Page No. 24